Paget's disease also known as -
1. Osteitis deformans
2. Osteitis fibrosa cystica
3. Osteochondritis
4. Osteomalacia

Correct answer: 1. Osteitis deformans

Explanation: Paget's disease also called as Osteitis deformans is a condition characterised by a tendency for one or bones to bend,get thickened and spongy. Tibia is affected commonly. The bone is soft and vascular initiallly but becomes dense and hard later. The disease begins after 40 years of age. Presenting complaints are dull pain,and bowing and thickening of affected bones. X rays show multiple confluent lytic areas with interspread new bone formation.serum alkaline phosphatase is elevated. REF:Essential Orthopaedics.Maheswari &Mhaskar.Edition 9 Pg no:317